Dienes stain is used for?
1. Compylobactor
2. Helicobacter
3. Rickettsiae
4. Mycoplasma

Correct answer: 4. Mycoplasma

Explanation: Ans. is 'd' i.e., Mycoplasma Dienes method (Dienes staining) - For colonies of mycoplasma. Dienes phenomenon - To eletect swarming of proteus.